What is the largest carpal bone
1. Trapezoid
2. Scaphoid
3. Lunate
4. Capitate

Correct answer: 4. Capitate

Explanation: The carpus is made up of 8 carpal bones, which are arranged in two rows. 1.The proximal row contains (from lateral to medial side):(i) the scaphoid, (ii) the lunate, (iii) the triquetral, and (iv) the pisiform bones. 2.The distal row contains in the same order: (i) the trapezium, (ii) the trapezoid, (iii) the capitate, and (iv) the hamate bones The capitate is the largest carpal bone, with a rounded head Ref : B D Chaurasia's Human Anatomy , seventh edition, volume 1, pg. no. 24